Maximum safe dose of lignocaine for spinal anesthesia is
1. 5-15 mg
2. 25-100 mg
3. 100-200 mg
4. 150-300 mg

Correct answer: 2. 25-100 mg

Explanation: 25-100 mg